Under hypoxic conditions, which of the following is strongly implicated as a cause of corneal edema?
1. Lactate
2. Glycogen
3. Carbon dioxide
4. Pyruvate

Correct answer: 1. Lactate

Explanation: In cornea energy in the form of ATP is generated by the breakdown of glucose. As cornea is an avascular structure, major pathway of metabolism is anaerobic glycolysis. Thus, under anaerobic conditions lactic acid accumulates in the cornea and causes corneal edema.